Neuroendocrine tumor is having which of the following as an immunohistochemical marker?
1. Cytokeratin
2. Calretin
3. Synaptophysin
4. Carcinoembryonic antigen

Correct answer: 3. Synaptophysin

Explanation: Neuro endocrine tumor markers Chromogranin Synaptophysin Neuron specific enolase Among the various types of lung cancer, small cell carcinoma is the one that is most commonly associated with ectopic hormone production.